For doctor to perform MTP minimum number to be performed is:-
1. 10
2. 15
3. 25
4. 35

Correct answer: 3. 25

Explanation: Indications: MTP ACT: 1971 1. Therapeutic - maternal life-threatening cases2. Eugenic - genetic disease of fetus3. Humanitarian - failure of contraception. - Qualifications for MTP <12 wk. AOG: Doctor who has done Min 25 MTP cases.At least 5 cases independently 12-20 wk. AOG: PG degree / diploma in OBG 6 months internship in OBG or 1 yr. training in any hospital Place of MTP Govt institute Approved / authorized for MTP Age for MTP consent MIN: 18 years Husband consent not necessary Written consent mandatory.